Sources of the nitrogen in urea cycle are the following:
1. Aspartate and ammonia
2. Glutamate and ammonia
3. Arginine and ammonia
4. Uric acid

Correct answer: 1. Aspartate and ammonia

Explanation: The 2 nitrogen atoms of urea are derived from two sources, one from ammonia and other from alpha amino group of aspartic acid. Ref: Textbook of Biochemistry By DM Vasudevan, 3rd Edition, Pages 163-5